Beck's triad is seen in:
1. Cardiac tamponade
2. Constrictive Pericarditis
3. Restrictive cardiomyopathy
4. Hypertrophic cardiomyopathy

Correct answer: 1. Cardiac tamponade

Explanation: Ans. A. Cardiac tamponadeBeck's triad is seen in cardiac tamponade.It includes:* Hypotension* Soft or absent heart sounds* Jugular venous distention with a prominent x descent but an absent y descent.